Lower limit of sacro iliac joint lies upto which level in females ?
1. 1 to 1 1/2
2. 2 to 2 1/2
3. 3 to 3 1/2
4. 4 to 4 1/2

Correct answer: 2. 2 to 2 1/2

Explanation: , 2 to 2 1/2